24 hour normal fluid requirement for a one year old child weighing 8 kg is
1. 700 ml
2. 800 ml
3. 900 ml
4. 1000 ml

Correct answer: 2. 800 ml

Explanation: Ans: (b) 800 mlRef : OP Ghai 8th ed./73f 293The fluid requirement of children less than 10 kg is 100ml per kg of body weight. The preffered fluid shall be N/5 in 5% dextrose with added potassium for daily requirements.